Which of the following is not a systemic route of drug administration?
1. Transdermal
2. Intravenous
3. Subcutaneous
4. Intraarterial

Correct answer: 4. Intraarterial

Explanation: Ans. D. Intraarteriala. Intraarterial drug administration is used to expose a particular organ to drug supplied by the artery and hence it is a local route.b. This decreases risk of systemic toxicity.c. Anticancer drugs for hepatocellular carcinoma and head and neck cancer are given by intraarterial route.